Homonymous hemianopia with sparing of pupillary reflexes is a feature of lesions of:
1. Optic radiations
2. Visual cortex
3. Geniculate body
4. All of the above

Correct answer: 4. All of the above

Explanation: Ans. All of the above